False statement regarding xenon is_____
1. Rapid induction and emergence
2. Free from greenhouse effects
3. Teratogenic
4. Does not trigger malignant hyperthermia

Correct answer: 3. Teratogenic

Explanation: Xenon is Non- teratogenic.Option A: Xenon has a very low blood-gas solubility coefficient (0.115) and produces rapid induction of and emergence from anaesthesia.Option B: Xenon produces no green house effect or ozone depletion and is environmentally safe, unlike the other inhaled anaesthetics.Option D: Does not trigger malignant hyperthermia Other advantages of xenon:InertMinimal cardiovascular effects- It produces minimal cardiovascular depression, and it is not arrhythmogenic.Non explosiveHas Analgesic activity - reduces intraoperative opioid requirements Disadvantages of Xenon High costLow potency (MAC = 70%)Xenon gas has a very high density (5.9 g/L) resulting in increased flow resistance and work of breathing. Thus, it may be a poor choice for patients wicompromised respiratory function